Which among the following is the MOST common congenital uterine malformation that causes recurrent abortions?
1. Mullerian fusion defects
2. Uterine syncytium
3. Cervical incompetence
4. Uterine agenesis

Correct answer: 1. Mullerian fusion defects

Explanation: Anatomical abnormalities are responsible for 10-15% of recurrent abortion. Congenital and acquired anomalies. Congenital anomalies are due to defects in the Mullerian duct fusion or resorption (e.g. unicornuate, bicornuate, septate or double uterus). This causes about 12% cases of recurrent abortions. Acquired anomalies are, Intrauterine adhesions Uterine fibroids Endometrosis Cervical incompetence Ref: Textbook of Obstetrics by D C Dutta, 6th edition, Page 169.